A doctor is not held guilty of negligence if
1. He has exercised reasonable care and skill
2. He has not obtained informed consent from patient
3. He fails to give proper instructions
4. Others sufferer disease from his patient

Correct answer: 1. He has exercised reasonable care and skill

Explanation: Professional negligence: The failure to exercise reasonable care and skill of an ordinary prudent medical practitioner in the circumstances; a breach of duty to act with care appropriate to the situation, which resulted in bodily injury (harm/loss) or death of the patient.